When milk is taken before meal which of the following element's absorption is decreased:
1. Calcium
2. Iron
3. Phosphorous
4. Magnesium

Correct answer: 2. Iron

Explanation: Ans. B: Iron Milk decreases the absorption of iron into the body. Other factors which decreases the bio-availability of non-haem iron is presence of phytates, oxalates, carbonates, phosphates, eggs, tea and dietary fiber.